Which of the following is proof of eyes being open for a few hours after death
1. Kevokian sign
2. Tache noir
3. Corneal desquamation
4. Globe rupture

Correct answer: 2. Tache noir

Explanation: Tache noire: Cornea and conjunctiva will become dry on the exposed portion of the eye ball with deposition of cellular debris and dust. This is called Tache Noire Ref: FORENSIC MEDICINE AND TOXICOLOGY Dr PC IGNATIUS THIRD EDITION PAGE NO 30